Which is not associated with cephalhematoma?
1. Swelling is present at birth
2. Usually involves parietal and occipital bone
3. Bleeding is subperiosteal
4. Usually reabsorbed in 2-3 months

Correct answer: 1. Swelling is present at birth

Explanation: Ans. A. Swelling is present at birthCephalhematoma is never present at birth. It appears a few hours after birth and at times on the second day. Caput succedaneum is present at birth. Cephalhematoma is a collection of blood between pericranium and skull bones following forceps delivery or normal labor due to rupture of small emissary veins or fracture of scalp bones. It appears 12 to 24 hours after birth. It is limited by skull bones because the pericranium is fixed to margins of the bone. It causes hyper bilirubinaemia due to release of bilirubin from collected blood.